Stage of contraction of family starts at ?
1. Marriage
2. Birth of first child
3. Birth of last child
4. Leaving home of first child

Correct answer: 4. Leaving home of first child

Explanation: Ans. is `d' i.e., Leaving home of first child